All are true about squamous cell carcinoma of skin except:
1. It is called marjolin ulcer when develops in scar
2. Radiotherapy may be used in treatment
3. Hematogenous spread is common & occur early
4. May develop in chronic ulcer

Correct answer: 3. Hematogenous spread is common & occur early

Explanation: Answer- (C) Hematogenous spread is common & occur earlySCC is a malignant tumour of keratinising cells of the epidermis or its appendages.Also arises from the stratum basale of the epidermis.SCC is the second most common form of skin cancer.Usually affects the elderly.SCC is also associated with chronic inflammation.When a SCC appears in a scar it is known as a Marjolin' ulcer.Associated with UV light exposure, chronic inflammation and viral infection."SCC is treated by wide excision or radiotherepy.Lymphatic spread is the chief method of spread even though it occurs relatively late.